Thining of cornea occurs in -
1. Megalocornea
2. Bullous keratopathy
3. Endothelial dystrophy
4. Keratoconus

Correct answer: 4. Keratoconus

Explanation: Keratoconus (conical cornea) is a noninflammatory bilateral (85%) ectatic condition of cornea in its axial part. It usually starts at puberty and progresses slowly. Etiopathogenesis. It is still not clear. Various theories proposed so far label it as developmental condition, degenerative condition, hereditary dystrophy and endocrine anomaly. Essential pathological changes are thinning and ectasia which occur as a result of defective synthesis of mucopolysaccharide and collagen tissue. Reference:Comprehensive ophthalmology,AK Khurana,4th edition,page no.119